Glucose transporters present in the Beta cells of the Islets of Langerhans is:
1. GLUT1
2. GLUT2
3. GLUT3
4. GLUT4

Correct answer: 2. GLUT2

Explanation: Ans. B. GLUT2GLUTTissue LocationFunctionGLUT 1Brain, Placenta, Kidney, RBCBasal Glucose UptakeGLUT 2Liver, Pancreas, IntestinePancreas-Insulin SecretionGLUT 3Brain (Neurons), PlacentaBasal Glucose UptakeGLUT 4Skeletal Muscle, Adipose Tissue, Cardiac MuscleInsulin stimulated uptake after mealsGLUT 5Small Intestine, TestisFructose TransportGLUT 6WBC, SpleenNot KnownGLUT 7Liver, Endoplasmic ReticulumGlucose transport in ER